Reduvid bug transmitts-
1. Kalaazar
2. Relapsing fever
3. Trench fever
4. Chagas disease

Correct answer: 4. Chagas disease

Explanation: Ans. is 'd' i.e., Chaga's disease Arthopods Arthropod borne diseases1) Mosquito:1) AnophelesMalariaFilaria (Not in India) 2) CulexJapanese encephalitisWest nile feverBancroftian filariasisViral arthritis 3)AedesYellow feverDengueDengue hemorrhagic feverChikangu nya feverRift valley feverFilaria (Not in India)Zika virus 4) MansonoidesBrugian filariasis2) SandflyKalazarOriental soreOraya feverSandfly fever 3) Tse - tse flySleeping sickness4) LouseEpidemic typhus, relapsing fever, trench fever; pediculosis, vogabond disease.5) Rat fleaBubonic plague, endemic typhus, chiggerosis, hymenolepis diminua6) Black flyOncocerciasis7) ReduvidbugChagas disease8) Hard tickTick typhus, viral encephalitis, viral hemorrhagic fever, KFD, Tularemia, tick paralysis, human babesiosis, Lyme's disease9) Soft tickQ fever, relapsing fever, KFD10) Trombiculid miteScrub typhus, Ricketssial pox11) Itch miteScabies12) CyclopsGuinea worm disease, Fish tape worm ( D. latum )13) CockroachesEnteric pathogens14) HouseflyTyphoid and paratyphoid fever, diarrhoea, dysentery cholera, gastro-enteritis, amoebiasis, helminthic infestations, poliomyelitis, conjunctivitis, trachoma, anthrax, yaws, etc.